True about interstitial lung disease:
1. Decreased FVC
2. Decreased FEV1
3. Decreased diffusion capacity
4. All of the above

Correct answer: 4. All of the above